Cognitive theory of child development was given by
1. Sigmund freud
2. Erik Erikson
3. Jean piaget
4. Brenner c

Correct answer: 3. Jean piaget